Serial interval measures:
1. Incubation period of disease
2. Sensitivity
3. Specificity
4. Positive predictive value

Correct answer: 1. Incubation period of disease

Explanation: Ans: aRef: Park, 17th ed, p. 88 & 18th ed, p. 92